Secondary deviation of the eye is based on the following law:
1. Hering's
2. Listing's
3. Donder's
4. Sherrington's

Correct answer: 1. Hering's

Explanation: Ans. Hering's